Gleason's staging is done in -
1. Ca prostate
2. Ca Pancreas
3. Ca kidney
4. Ca Cx

Correct answer: 1. Ca prostate

Explanation: Answer is 'a' i.e. Ca. prostate